Ramsay Hunt syndrome all are true except -
1. VII Nerve is involved
2. Facial muscle are involved
3. Facial vesicles is seen
4. Herpes zoster is etiologic agent

Correct answer: 3. Facial vesicles is seen

Explanation: Vesicles in Ramsay hunt syndrome are seen in the preauricular skin, the skin of ear canal, the soft palate and not on facial skin.